Urinary tract infection exists when the bacterial count in 1 ml. of midstream specimen of urine is ?
1. 100
2. 1000
3. 104
4. 105 or over

Correct answer: 4. 105 or over

Explanation: Ans. is 'd' i.e., 105 or over